Enamel knot expresses the growth factor, which can be:
1. Slit 1
2. FGF 4,9
3. BMP 2,4,7
4. All of the above.

Correct answer: 4. All of the above.